Mucopolysaccharide hyaluronic acid is present in -
1. Vitreous humor
2. Cornea
3. Blood vessels
4. Lens

Correct answer: 1. Vitreous humor

Explanation: The normal youthful vitreous gel is composed of a network of randomly-oriented collagenfibrils interspersed with numerous spheroidalmacromolecules of hyaluronic acid. Ref comprehensive ophthalamology AK Khurana 4th edition page no:243 .